Following are the characteristic features of an ideal IUCD candidate except?
1. Has borne at least two children
2. Has no history of pelvic disease
3. Has normal menstrual periods
4. Is willing to check the IUCD tail

Correct answer: 1. Has borne at least two children

Explanation: Ans. is 'a' i.e., Has borne atleast two childrenThe Planned Parenthood Federation of America has described an ideal IUCD candidate as a woman who:Has borne atleast one childHas no history of pelvic diseaseHas normal menstrual periodsIs willing to check the IUCD tailHas access to follow up and treatment of potential problemsIs in monogamous relationship.